Larynx extends from:
1. C2-C7
2. C1-C4
3. C5-C6
4. C3-C6

Correct answer: 4. C3-C6

Explanation: It is situated in front of laryngopharynx, extends from the root of the tongue to the trachea and lies in  front of the C3, C4, C5 vertebrae in a normal adult male.